Millary shadow on chest X-ray is seen in – a) Tuberculosisb) Rheumatoid arthritisc) Pneumoconiosisd) COPDe) Metastasis
1. bcde
2. abcd
3. abce
4. abde

Correct answer: 3. abce